Glomus cells are derived from -
1. Surface ectoderm
2. Neuroectoderm
3. Mesoderm
4. Endoderm

Correct answer: 2. Neuroectoderm

Explanation: Ans. is 'b' i.e., Neuroectodermo Glomus cells are derived from neural crest which itself is derivative of neuroectoderm,o Other derivates of neural crest are:-Neural derivativesSensory neurons of 5th, 7th, 8th 9th, 10th cranial nerve ganglia (trigeminal, geniculate, sphenopalatine, submandibular, cochlear, vestibular, otic and vagal parasympathetic ganglia).Sensory neurons of spinal dorsal root ganglia.Sympathetic chain ganglia and plexus (celiac/preaortic/renal ganglia, enteric plexus in GIT, i.e. Auerbachs and Meissner's)Parasympathetic ganglia and plexus of GIT,Schwann cells of peripheral nerves, satellite cells of all ganglia.Adrenal medulla, chromaffin cells, para follicular C-cells of thyroid gland.Melanocytes and mela noblasts.Mesenchymal derivativesDermal bones of skull: Frontal, parietal, temporal, nasal, vomer, palatine, mandible, maxillae.Leptomeninges : arachnoid and pia mater (Durameter is mesodermal).Dentine of teeth (odontoblasts).Eye: choroid, sclera, iris epithelium, pupillary muscles (sphincter and dilator pupillae, ciliary muscles).Pharyngeal arch cartilages.Retinal pigmented epithelium.Connective tissues of head including dermis, tendon, ligaments.Bulbar and conal ridges of heart.